False statement regarding Meckel's Diverticula is
1. It is true Diverticula
2. Gastric mucosa is the most common hetero topic mucosa seen
3. Intestinal obstruction is the most common presentation in children
4. Treatment is diverticulectomy

Correct answer: 3. Intestinal obstruction is the most common presentation in children

Explanation: Intestinal obstruction is the most common presentation in adults. Where as in children the most common presentation is bleeding Ref: schwartz's principle of surgery 10th edition Pgno : 1164